Teratospermia refers to
1. Increased abnormal forms
2. Decreased count
3. Decreased motility
4. Absent semen

Correct answer: 1. Increased abnormal forms

Explanation: Increased abnormal forms Teratospermia -----increased number of abnormal sperms. Regarding sperm morphology, the WHO criteria as described in 2010 state that a sample is normal (samples from men whose partners had a pregnancy in the last 12 months) if 4% (or 5th centile) or more of the observed sperm have normal morphology. Aspermia-------------absence of semen Azoospermia--------absence of sperms in semen. Total sperm count, or total sperm number, is the total number of spermatozoa in the entire ejaculate. By WHO, lower reference limit (2.5th percentile) is 39 million per ejaculate Oligospermia-------decreased sperm count Asthenospermia----decreased motility of sperms. The World Health Organization has a value of 50% and this must be measured within 60 minutes of collection Necrospermia-------increased number of dead sperms.